Lipodermatosclerosis is most commonly seen at?
1. Anterior aspect of leg
2. Medial aspect of leg
3. Anterior aspect of thigh
4. Posterior aspect of thigh

Correct answer: 2. Medial aspect of leg

Explanation: Ans. (b) Medial aspect of legRef: Sabiston 18thed ch-68